In modern era, the only indication for Internal Podalic Version is:
1. Delivery of Second baby of twins
2. Oblique lie
3. Transverse lie
4. Breech presentation

Correct answer: 1. Delivery of Second baby of twins

Explanation: Delivery of Second baby of twins